The specialized type of microscope, which enables quantitative measurements of the chemical constituents of cells is the -
1. Optical microscope
2. Interference microscope
3. Phase contrast microscope
4. Polarization microscope

Correct answer: 2. Interference microscope

Explanation: The interference microscope which not only revelas cell organelles but also enables quantitative measurement of the chemical constituents of cells such as lipids , proteins and nucleic acid REF:Ananthanarayan and Panicker's Textbook ofMicrobiology 8thEdition pg no:13